Carbon dioxide in venous blood
1. Is carried by hemoglobin
2. Is transported mainly in the form of bicarbonate
3. Does not cross the blood brain barrier
4. Is converted to bicarbonate by carbonic anhydrase in plasma

Correct answer: 2. Is transported mainly in the form of bicarbonate

Explanation: Carbon dioxide molecules are transported in the blood from body tissues to the lungs by one of three methods: dissolution directly into the blood, binding to hemoglobin, or carried as a bicarbonate ion. ... Second, carbon dioxide can bind to plasma proteins or can enter red blood cells and bind to hemoglobin Ref: guyton and hall textbook of medical physiology 12 edition page number: 359,360,361